Polygelin content is found in which of the following fluids
1. Gelofuscine
2. Hemacel
3. Hartman's solution
4. Hetastarch

Correct answer: 2. Hemacel

Explanation: Content 


Solution







Gelatin
Polygelin
Hydroxy ethyl starch



Gelofuscine
Hemacel 
Hetastarch